Molluscum contagiosum is caused by:
1. Bacteria
2. Fungus
3. Protozoa
4. Virus

Correct answer: 4. Virus

Explanation: Ans. D i.e. Virus Molluscum contagiosum (MC) It is a viral infection of the skin or occasionally of the mucous membranes, sometimes called water was. It is caused by a DNA poxvirus called the molluscum contagiosum virus (MCV). MCV has no nonhuman-animal reservoir (infecting only humans). There are four types of MCV, MCV-1 to -4; MCV-1 is the most prevalent and MCV-2 is seen usually in adults. The virus that causes molluscum is spread from person to person by touching the affected skin. The virus may also be spread by touching a surface with the virus on it, such as a towel, clothing, or toys. Molluscum can be spread from one person to another by sexual contact. This common viral disease has a higher incidence in children, sexually active adults, and those who are immunodeficient, and the infection is most common in children aged one to ten years old. MC can affect any area of the skin but is most common on the trunk of the body, arms, groin, and legs. It is spread through direct contact or shared items such as clothing or towels.